A person was found dead with bluish green frothy discharge at the angle of mouth and nostrils. What is the diagnosis?
1. Arsenic poisoning
2. Copper poisoning
3. Mercury poisoning
4. Lead poisoning

Correct answer: 2. Copper poisoning

Explanation: Clinical Features Acute Poisoning Ingestion: * Metallic taste,* Increased salivation * Colicky abdominal pain * Nausea and vomiting. Vomitus is bluish or greenish in color * Diarrhea * Myalgia * Pancreatitis * Methemoglobinemia * Hemolysis * Jaundice * Oliguria and renal failure * Convulsions * Delirium * Coma. Inhalation of Copper Fumes or Dust Causes * Respiratory tract irritation * Cough * Conjunctivitis * Metal fume fever. Chronic Poisoning * Abdominal pain * Greenish line on dental margins of gum (Clapton's line) * Vineyard Sprayer's lung disease: Copper sulphate is used as an insecticide spray in vineyards. During spraying, chronic inhalation of copper sulphate causes this disease. * Greenish hair discolouration * Wilson's disease. REF;THE SYNOPSIS OF FORENSIC MEDICINE:KS NARAYANA REDDY;28th EDITION;PAGE NO 309